Supracristal plane is above ?
1. Highest point of iliac crest
2. Anterior superior iliac spine
3. Posterior superior iliac spine
4. Ischeal tuberosity

Correct answer: 1. Highest point of iliac crest

Explanation: Ans.a. Highest point of iliac crestSupracristal plane is an anatomical transverse plane lying at the upper most part of the pelvis, the iliac crest.This is usually at the level of the L4 vertebrae.It passes through the umbilical region and the left and right lumbar regions.